Treatment of rheumatoid arthritis include-
1. Gold
2. Corticosteroids
3. Aspirin
4. All

Correct answer: 4. All

Explanation: NSAIDS: - Aspirin - Coxibs
DMARD - Methotrexate (Best DMARD) - Gold - D- Penicillamine - Antimalarials - Sulfasalazine - Leflunamide (Inhibits T cell proliferation) - Glucocorticoid
Anticytokines - Etanercept (TNF Type II receptor blocker) - Infliximab (Monoclonal ab to TNF) - Adalimumab (Fully human abs to TNF) - Anakinra (IL - 1 receptor antagonist)
Immunosuppressive drugs - Azathioprine - Cyclosporine - Cyclophosphamide